Aggrevation of symptoms of angina in a patient when given nitrates is seen in
1. Aortic regurgitation
2. Mitral regurgitation
3. Single left coronary artery stenosis
4. Idiopathic hypertrophic subaortic stenosis

Correct answer: 4. Idiopathic hypertrophic subaortic stenosis

Explanation: Ref Harrison 19 th ed pg 1568 Idiopathic hypertrophic cardiomyopathy ( HOCM) is a dynamic outflow obstruction which is increased by any mechanism decreasing the preload . Nitrates decrease the preload,the volume of blood in LV and thereby increase the dynamic obstruction and symptom of angina